Who discovered X-rays:
1. Roentgen
2. Curie
3. Becquerel
4. Gray

Correct answer: 1. Roentgen

Explanation: Ans. A: Roentgen X-rays were produced firstly in 1895 by Roentgen.